Second part of duodenum not related posteriorly to?
1. IVC
2. Psoas major
3. Bile duct
4. Renal artery

Correct answer: 3. Bile duct

Explanation: Ans. is 'c' i.e., Bile duct